Blood pressure is defined as the product of
1. Systolic pressure x pulse
2. Diastolic pressure x pulse rate
3. Pulse pressure x pulse rate
4. Cardiac output x peripheral resistance

Correct answer: 4. Cardiac output x peripheral resistance

Explanation: Blood pressure = Cardiac output  x Total peripheral resistance